Glutamine in blood acts as
1. NH3 transporter
2. Toxic element
3. Store energy
4. Abnormal metabolite

Correct answer: 1. NH3 transporter

Explanation: Glutamine is the major transport form of ammonia.